Microscopic Hematuria is defined as:
1. >5 RBCs/high power field
2. >10 RBCs/high power field
3. >15RBcs/high power field
4. >20RBCs/high power field

Correct answer: 1. >5 RBCs/high power field

Explanation: Ans. A. >5 RBCs/high power fieldPresence of blood in urine imparts it a colour, which includes various shades of deep red, smoky brown, cola colored and faint pink. Parents may even confuse very concentrated urine with hematuria. Hematuria can then be confirmed by presence of RBC in urine analysis. Presence of >5RBCs/HPF suggests hematuria.